In acute anterior uveitis, pupil is
1. Oval
2. Circular
3. Small, irregular
4. Any of the above

Correct answer: 3. Small, irregular

Explanation: C i.e. Small & irregular